Apoptosis is associated with all of the following features except
1. Cell shrinkage
2. Intact cellular contents
3. Inflammation
4. Nucleosome size fragmentation of nucleus

Correct answer: 3. Inflammation

Explanation: Ref, Robbins 7/e p26,9/ep53